The most important step in health education of a community is –
1. Contact with doctors
2. Community discussion
3. Announcements to the community by loud speakers
4. Knowledge of local needs

Correct answer: 4. Knowledge of local needs

Explanation: Only one of the options provided is included under the 'principles of health education'.
'Health educators must find out the real health needs of the people. these needs are termed as felt need, ie. needs which the people feel about themselves'.

Principles of Health Education 

Interest : Identification of local needs
Participation
Known to unknown
Comprehension
Reinforcement 
Motivation
Learning by doing
Soil, seed and sower
Good human relations
Leaders